Most frequently occurring value in a group of data
1. Mean
2. Standard deviation
3. Median
4. Mode

Correct answer: 4. Mode